Apnoea in infants is –
1. >10 sec
2. >20 sec
3. >30 sec
4. >40 sec

Correct answer: 2. >20 sec